You are examining a patient with Ca endometrium and you find that the inguinal lymph nodes are involved. What is the stage of the disease?
1. Stage II b
2. Stage III
3. Stage IV a
4. Stage IV b

Correct answer: 4. Stage IV b

Explanation: In case of Ca endometrium inguinal node involvement is considered as distant spread and hence stage IV b. Here the treatment is palliative radiotherapy, chemotherapy and progesterone. The chemotherapeutic agents include doxorubicin and cisplatin. Ref: Shaw's textbook of gynaecology, edition 13, Page -306.